True regarding hepatitis E virus is-a) Seen in Post transfustion casesb) Associated with increased mortality in pregnant femalec) Associated with hepatitis B virusd) Acquired by feco oral route
1. c
2. d
3. ab
4. bd

Correct answer: 4. bd